Which of the following drug is preferred for skin rash in LE?
1. Steroids
2. Aspirin
3. Chloroquine
4. Azathioprine

Correct answer: 3. Chloroquine

Explanation: Ans. c. ChloroquineChloroquine (Antimalarial drug) act as a systemic sunscreen by providing photoprotection. So used as prophylactic agent in LE.